Full thickness graft can be obtained from all of the following except:
1. Axilla
2. Groin
3. Supraclavicular area
4. Elbow

Correct answer: 1. Axilla

Explanation: Ans is 'a' i.e. Axilla Donor sites for full-thickness grafts are: - Eyelids - Postauricular skin - Supraclavicular skin - Antecubital skin - Inguinal area - Genital area - Submammary skin - Subgluteal skin